Subcapsular orchiectomy is done for
1. Ca testis
2. Ca prostate
3. Ca penis
4. Ca urethra

Correct answer: 2. Ca prostate

Explanation: Orchidectomy Orchidectomy is performed in advanced disease. In 1941, prostate cancer was shown to be responsive to such treatment by Charles Huggins, the only urologist to win a Nobel Prize. Bilateral orchidectomy, whether total or subcapsular, will eliminate the major source of testosterone production. Ref: Bailey and love 27th edition Pgno : 1474